Under anaerobic conditions the glycolysis of one mole of glucose yields __moles of ATP.
1. One
2. Two
3. Eight
4. Thirty

Correct answer: 2. Two

Explanation: During anaerobic (oxygen deficient) condition, when one molecule of glucose is converted to 2 molecules of lactate, there is a net yield of 2 molecules of ATP.
Reference: Vasudevan 7th  ed, pg 112